A patient presents with subarachnoid haemorrhage. NCCT reveals blood in the fourth ventricle. The bleeding is most likely to occur from an aneurysm of which of the following arteries
1. Anterior communicating artery
2. Basilar top region
3. AICA
4. PICA

Correct answer: 4. PICA

Explanation: Ans. is 'd' i.e., PICA